Best test for Small intestine malabsorption of carbohydrates is :
1. Lund meal test :
2. Shilling test
3. D-Xylose test
4. Follacin test

Correct answer: 3. D-Xylose test

Explanation: Answer is C (D-xylose test) D-xylose absorption test is the most commonly employed test for carbohydrate absorption - Harrison An endoscopic mucosal biopsy is the more specific test and is now considered essential. As endoscopic small intestinal biopsy' is not provided in the options 'D-xylose test' is the answer of the choke Evaluation of small intestine malabsorption of carbohydrates due to altered small intestinal mucosal function Urinary D-xylose test Non invasive test of choice Endoscopic mucosal biopsy Test of choice / preferred test `The ease of obtaining a mucosal biopsy of the small intestine by endoscopy and the false negative rate of the Dxylose test have led to its diminished use. When small intestinal disease is suspected, a small intestinal biopsy should be performed' - Harrison